The process of diffusion of culture on contact between persons is known as:
1. Acculturation
2. Culture shock
3. Culture exchange
4. Sericulture

Correct answer: 1. Acculturation

Explanation: Acculturation means "culture contact." When there is contact between two people with different types of culture, there is diffusion of culture both ways. There are various ways by which culture contact takes place trade and commerce, industrialization, propagation of religion, education, and conquest. Ref: Park 21st edition, page 622. Chapter: Medicine and social sciences.